An 18-year-old girl presented with multiple nasal polypi in both nostrils with nasal obstruction and sinusitis. CT scan shows dense shadows in the sinuses. Histopathology did not show fungal invasion of tissues. All of the following treatments can be given except:
1. Amphotericin B
2. Intranasal corticosteroids
3. Surgical removal
4. Anti-histaminic

Correct answer: 1. Amphotericin B

Explanation: The clinical picture and CT findings in the above patient indicate a diagnosis of allergic fungal rhinosinusitis. It is a type I hypersensitivity presenting with nasal polypi. CT findings are hyperdense material in the sinus cavity. Histologically no tissue invasion by fungus is seen though fungus can be stained and cultured from the tissues. Since tissue invasion by fungus is absent, there is no need for amphotericin B, though all other modes of treatment would be required to treat nasal polypi and type I hypersensitivity reaction.